Lateral aberrant thyroid refers to -
1. Lingual thyroid
2. Metastatic foci from primary in thyroid
3. Struma ovarii
4. Congenital thyroid abnormality

Correct answer: 2. Metastatic foci from primary in thyroid

Explanation: Any thyroid tissue found laterally separate from the thyroid gland, is always considered to be a metastasis in a cervical lymph node, as aberrant thyroid tissue never occurs in a lateral position. Aberrant, thyroid tissues are found along the course of the thyroglossal tract i.e. Lingual* Cervical* or intrathoracic* Also, remember Type of thyroid carcinoma most commonly associated with lateral aberrant thyroid - papillary carcinoma*. Ref : Bailey and Love, 24th/e, p. 777